Which one of the following is not a feature of Gullain Barre syndrome?
1. Albumino-cytological dissociation
2. Transient bladder disturbances
3. Areflexia
4. Babinski plantar response -

Correct answer: 4. Babinski plantar response -

Explanation: *GBS manifest as rapidly envolving areflexic motor paralysis with or without sensory disturbance. *Deep tendon reflex is attenuated or disappear with in first few days *Bladder dysfunction occur in severe case but is usually transient . *CSF finding are distinctive with elevated protein levels without accompanying pleocytosis Ref Harrison20th edition pg 1234